Drugs acting through receptors exhibit the following features except
1. Structural specificity
2. High potency
3. Competitive antagonism
4. Dependence of action on lipophilicity

Correct answer: 4. Dependence of action on lipophilicity

Explanation: A drug acting on a specific receptor must have a specific structure, high affinity and potency can be a agonist or an antagonist. Lipophilicity is not a feature for a drug to bind to receptor. Ref: KDT 6/ e pg 45